During extraction of the upper first molar, the mesio buccal root is missing and is suspected to have been pushed into the maxillary sinus.
To determine the antral perforation what to do from the following
1. Blow air through the nose with nostrils closed
2. Probe the socket to check for perforation
3. Enlarge the orifice to retrieve the root piece
4. All of the above

Correct answer: 1. Blow air through the nose with nostrils closed